Left ventricular hypertrophy is caused by all except -
1. MS
2. MR
3. AS
4. AR

Correct answer: 1. MS

Explanation: Ans. is 'a' i.e., MS Left ventricular hypertrophy is enlargement of the muscular tissues of the heart.Left ventricular hypertrophy develops in response to some chronic hemodynamic overload resulting either from hypertension or faulty valves.* The extra work of adopting to chronic hemodynamic overload leads to hypertrophy of the heart i.e. there is increase in size of the individual muscle fibre in response to increased demand. The workload is thus shared by a greater mass of cellular components and each muscle fibre is spared excess work.Common conditions that cause left ventricular hypertrophyHypertension (M.C. cause of left ventricular hypertrophyAortic valve stenosis - obstruction to the flow of blood through Aortic valve causes heart to work harder and resultsAortic regurgitationDilated cardiomyopathyIn mitral stenosis, hypertrophy is seen in left atrium and right ventricle.